In personality disorder, features are all except?
1. Ego dystonia
2. Starts in childhood
3. Behavior is maladaptive
4. Disorder results in personal distress

Correct answer: 1. Ego dystonia

Explanation: Ans. is 'a' i.e., Egodystonic Features of personality disorders Most often the first sign of a personality disorder appears in late childhood or adolescence and continue during adulthood. Someone with a personality disorder hold attitudes and behaves in ways that can cause considerable problems for themselves and others. Behavior is long standing (not limited to episode of mental illness). Behavior is pervasive and maladaptive. Disorder results in personal distress and social or occupational dysfunction. Behavior is fixed and inflexible. Personality disorders are ego-syntonic. They are not due to direct result of disease or substance.